Inhibition of glycogenolysis and gluconeogenesis is caused by -
1. Insulin
2. Glucogon
3. Glucocorticoid
4. Epinephrine

Correct answer: 1. Insulin

Explanation: Ans. is 'a' Le., Insulin Effects of InsulinPathwayOverall effectRegulatory enzyme affectedCarbohydrate metabolism Glycogenesis|Glycogen synthase |Glucokinase |Glycolysis|Phosphofructokinase | QPyruvate kinase | Q* Pyruvate dehydrogenase |Glycogenolysis Glycogen phosphorylase |Gluconeogenesis|Pyruvate carboxylase |PEP carhoxyhinase |Fructose 16-bisphosphatase |Glucose - 6 phosphatase |Lipid metabolismLipogenesis|Acetyl Co A carboxylase | Q Fatty acid synthase|Lipolysis|Hormone sensitive lipase | QCholesterogenesis|HMG CoA reductase |TAG synthesis|Fatty acyl CoA - glycerol3-phosphate transferase |Lipoprotein degradation|Lipoprotein lipase |Amino-acid metabolismTransamination|Transaminases | PathwayGlucagonEpinephrineGlucocorticoidsGlucogenolvsis|a| Glycogenesis| a|| aGlycolysis LiverMuscle| a|||Gluconeogenesis| a||Lipolysis| a||Lipogenesis| a| Cholesterolbiosynthesis| a| Proteinbiosynthesis|a| Proteindegradation| a|| a